Aortic hiatus contains:
1. Left gastric vein and thoracic duct
2. Thoracic duct and hemiazygos vein
3. Azygos vein and thoracic duct
4. Left vagus and thoracic duct

Correct answer: 3. Azygos vein and thoracic duct

Explanation: C i.e. Azygos vein and thoracic duct